Reaction due to lysis of bacterial cell wall & necrotic cell product -
1. Arthus reaction
2. Serum sickness
3. Jerish herheximer reaction
4. Infectious mononucleosis-ampicillin reaction

Correct answer: 3. Jerish herheximer reaction

Explanation: Ans. is 'c' i.e., Jerish herheximer reaction o Certain cell wall acting antibiotics cause rapid cell lysis and release of proinflammatory and/or toxic bacterial components, which induce inflammatory response in host.o This produces a clinical syndrome known as Jarish-hersheimer reaction.o The typical example is treatment of primary and secondary syphilis with penicillin, which may produce fever, malaise and exacerbation of symptoms due to Jarish -hersheimer reaction.o The reaction can be managed with antipyretics and antihistaminics.About other optionso Arthus reaction and serum sickness are type III hypersensitivity reactions due to formation of antigen- antibody complex.o In IMN, ampicillin causes rash but this is due to allergic reaction against ampicillin.